23-year-old GIRO woman at 10 weeks' gestation presents to the obstetrics clinic for her initial evaluation. She says she has been hospitalized several times for asthma exacerbations but has never required intubation or admission to an intensive care unit. She is controlled on daily inhaled corticosteroids and albuterol with adequate relief of her symptoms. She Is concerned about taking these medications now that she is pregnant. Which of the following is true regarding asthma medications in pregnancy?
1. B2 agonist are contraindicated during pregnancy
2. Both agonist and Inhaled corticosteroids are both contraindicated in pregnancy
3. Both B2 agonist and Inhaled corticosteroids are safe in pregnancy
4. B2 agonist and inhaled corticosteroids are both safe in pregnancy but during 2nd and 3rd trimester only

Correct answer: 3. Both B2 agonist and Inhaled corticosteroids are safe in pregnancy

Explanation: Regular use of preventive steroid inhaler is first line maintenance or controller therapy for all those who requires a beta agonist inhaler more than once a day. Inhaled short acting beta agonist is the rescue therapy of choice ,higher doses with nebuliser can be used for severe exacerbations. Refer page no 323 of text book of obteics,sheila balakrishnan2 nd edition.